Which of the following statements about lepromin test is not true ?
1. It is negative in most children in first 6 months of life
2. It is a diagnostic test
3. It is an important aid to classify type of leprosy disease
4. BCG vaccination may convert lepra reaction from negative to positive

Correct answer: 2. It is a diagnostic test

Explanation: Ans. is 'b' i.e., It is a diagnostic test